Which of the following effects is unlikely to occur during treatment with imipramine ?
1. Elevation of seizure threshold
2. Mydriasis
3. Sedation
4. Urinary retention

Correct answer: 1. Elevation of seizure threshold